"3 by 5" initiative in AIDS control programme is ?
1. Providing 3 million people treatment by end of 2005
2. Providing treatment to 3 out of 5 patients
3. Reducing incidence of AIDS by 3% by 2005
4. All of the above

Correct answer: 1. Providing 3 million people treatment by end of 2005

Explanation: Ans. is 'a' i.e., Providing 3 million people treatment by end of 2005 3 by 5 target On 1st December 2003, WHO and UNAIDS announced a detailed plan to reach the "3 by 5 target" of providing antiretroviral treatment (ART) to three million people living with HIV/AIDS in the developing countries by the end of 2005. Ultimate goal of this strategy is to provide universal access to ART to anyone who needs it. It has five Pillars (focus areas of concerns) :? Simplified standard tools to deliver ART A new service to ensure effective, reliable supply of medicines and diagnostics Dissemination and application of new knowledge and successful strategy Urgent, sustained support to countries Global leadership, backed by strong partnership